Which of the following terms best describes a drug that blocks the action of adrenaline at its receptors by occupying those receptors without activating them
1. Pharmacological antagonist
2. Non competitive antagonist
3. Psychological antagonist
4. Chemical antagonist

Correct answer: 1. Pharmacological antagonist

Explanation: Ref-Katzung 10/e p16 pharmacological antagonism. the relationship between drugs in which an antagonist inhibits the activity of an agonist by reacting with the receptor or other part of the effector mechanism.